Spirochetes among following are -a) Syphilisb) Leptospirac) Mycoplasmad) Brucellae) Borrelia
1. abc
2. bcd
3. cde
4. abe

Correct answer: 4. abe